Example of selective medium is:
1. LJ medium
2. Blood agar
3. Selenite F broth
4. Chocolate agar

Correct answer: 1. LJ medium

Explanation: Ans. is. 'a' i. e., LJ medium